Claviceps purpurea is an active ingredient in which of the following toxin?
1. Aflatoxin
2. Sanguinarine
3. Pyrazolidone
4. Ergot alkaloid

Correct answer: 4. Ergot alkaloid

Explanation: Rye, Wheat, Oats, Barley, and BajraThese grains, when badly stored, allow growth of fungus Claviceps purpurea, consumption of which may cause ergot poisoning.Ergot is the dried sclerotium (compact mycelium or spawn) of the parasitic fungus Claviceps purpurea, which grows on cereals like rye, barley, wheat, oats, etc. (principally on rye and barely in wet seasons and in ill-drained soils.) It gradually invades the interior of the cereal/grain, producing a curved, dark-purple or black compact mass called sclerotium.It contains about thirty alkaloids, but ergotoxin, ergotamine, and ergometrine are important. Ergotoxin promotes contraction of the uterus in later months of pregnancy. By contracting the arterioles, it eventually causes gangrene. It is the most important factor in ergot poisoning.Ref: Textbook of Forensic Medicine and Toxicology; 5th edition; Page no: 480